Which of the following disease can be associated with short QT interval on ECG ?
1. Chronic myeloid leukemia
2. Multiple myeloma
3. Chronic lymphocytic leukemia
4. Hodgkin's disease

Correct answer: 2. Multiple myeloma